Reason of difficult intubation in an obese patient is?
1. Difficult visualization
2. Decreased safe apnea time
3. Lower tidal volume
4. All of the above

Correct answer: 4. All of the above

Explanation: Ans is 'd' i.e. All of the aboveReasons for difficult intubation in obese patientsi) Increased soft tissue mass* The increased weight & volume of soft tissue can distort the airway in a supine obese patient, making visualization of vital structures harder.* This can also make "lifting up" on the laryngoscope handle harder, as there is more weight to lift.ii) Increased pressure on diaphragm* Obese abdomens prevent normal diaphragmatic excursion, more so in supine position. This leads to lower tidal volumes in spontaneously breathing patients, faster desaturation once sedated/paralysed, and more difficult bag-valve-mask ventilation.iii) Reduced "Safe Apnoea Time"* This is the time between rendering a patient apnoeic with an anaesthetic, and the time they start to desaturate.* This happens more quickly in obese patients due to the poor mechanics of their airway (mentioned above), and their increased metabolic demands.